Layers of cornea are all EXCEPT
1. Bowman's membrane
2. Descemet's membrane
3. Endothelium
4. Keratinized squamous epithelium

Correct answer: 4. Keratinized squamous epithelium

Explanation: D. (Keratinized squamous epithelium) (169- MK 3rd) (323- IBS 5tn)CORNEA - is made up five layers(i) Outermost layer - non-keratinized stratified squamous epithelium (corneal epithelium)**(ii) Anterior limiting lamina or Bowman's membrane(iii) Substantia propria or corneal stroma(iv) Posterior limiting lamina (or Descemet's membrane)(v) The posterior surface of the cornea is lined by a single layer of flattened cells that constitute the endothelium of the anterior chamberCHOROIDS - Consist of1. Choroid proper2. Supra choroids lamina3. Basal lamina (membrane of Bruch**)